A sample of cervical mucus is taken on Day 12 of the menstrual cycle: The mucus is thin, clear, elastic. It is placed on a slide and allowed to air dry. When placed under microscope, what would you expect:
1. Clear field devoid of bacteria
2. Thick mucus with back ground bacteria
3. A fern pattern characteristic of estrogen
4. Clearly defined, parabasal cells

Correct answer: 3. A fern pattern characteristic of estrogen

Explanation: Ans. is c, i.e. A fern pattern characteristic of estrogen.On day 12, when cervical mucus is viewed under microscope, it shows a fern like pattern under the effect of estrogen.